Metronidazole is a:
1. Luminal amoebicide
2. Tissue amoebicide
3. Both
4. None

Correct answer: 2. Tissue amoebicide

Explanation: Ans: b (Tissue amoebicide) Ref: Tripathi, 6th ed, p, 7981. Tissue amoebicidesa) For both intestinal and extraintestinal amoebiasisNitroimidazoles:Metronidazole, tinidazole. secnidazole,Omidazole, satranidazoleAlkaloids-. Emetine, dehydroemetineb) For extraintestinal amoebiasis only: Chloroquine2. Luminal amoebicidesa) Amide-. Diloxanide furoate, nitzoxanideb) 8-Hydroquinolines-. Quindochlor, diiodohydroxyquin (Iodoquinol)c) Antibiotics: TetracyclinesMetronidazoleTHERAPEUTIC USESMetronidazole cures genital infections with T. vaginalis in > 90% of cases. The preferred regimen is 2 g metronidazole as a single oral dose for both males and females.Metronidazole is the agent of choice for all symptomatic forms of amebiasis, including colitis and liver abscess. The recommended dose is 500-750 mg metronidazole taken orally three tiniesdaily for 7-10 days. The daily dose for children is 35-50 mg/kg, given in three divided doses, for 7-10 days.. E. histolytica persist in most patients who recover from acute amebiasis after metronidazole therapy, so it is recommended that all such individuals also be treated with a luminal amebicide.Metronidazole is used for treatment of giardiasis.Metronidazole is used for the treatment of serious infections owing to susceptible anaerobic bacteria, including bacteroides, Clostridium, fusobacterium, peptococcus. peptostreptococcus. eubacterium. And helicobacter.Metronidazole achieves clinically effective levels in bones, joints, and the CNS and can be given intravenously when oral administration is not possible..Metronidazole is used as a component of prophylaxis of postoperative mixed bacterial infections and is used as a single agent to treat bacterial vaginosis.Metronidazole is used increasingly as primary therapy for pseudomembranous colitis due to Clostridium difficile infection. At doses of250-500 mg orally three times daily for 7-14 days, metronidazole is effective and less expensive than oral vancomycin. Metronidazole also is used in patients with Crohn disease who have perianal fistulas or significant colonic diseaseMILTEFOSINEMiltefosine is the first orally available therapy for leishmaniasis.It is safe and effective treatment for visceral leishmaniasis and has also shown >95% efficacy against cutaneous leishmaniasisNIFURTIMOXNifurtimox and benznidazole are trypanocidal against both the trypomastigote and amastigote forms of T. cruzi. Nifurtimox also has activity against T. brucei and can cure early- and late-stage disease.NITAZOXANIDENitazoxanide and its active metabolite tizoxanide inhibit the growth of sporozoites and oocytes of C. parvum and inhibit the growth of the trophozoites of G intestinalis. E. histolytica, and T. vaginalis in vitro.